Heart block is seen in -
1. Hypermagensemia
2. Hypomagnesemia
3. Hypernatremia
4. Hypocalcemia

Correct answer: 1. Hypermagensemia

Explanation: Answer- A. HypermagensemiaHypermagnesemia slows the heart and leads to heart block.